All are true about non-bacterial thrombotic endocarditis, except-
1. Cause emboli
2. Vegetation> 5 mm
3. No inflammatory reaction
4. Locally nondestructive

Correct answer: 2. Vegetation> 5 mm

Explanation: Nonbacterial thrombotic endocarditis (NBTE) is characterized by the deposition of small (1 to 5 mm in diameter) thrombotic masses composed mainly of fibrin and platelets on cardiac valves. Although NBTE can occur in otherwise healthy persons, a wide variety of diseases associated with general debility or wasting are associated with an increased risk of NBTE--hence the alternate term marantic endocarditis. In contrast with infective endocarditis, the valvular lesions of NBTE are sterile and are nondestructive. (Robbins Basic Pathology,9th edition,pg no.391)